Each of the following can cause food poisoning except:
1. Cl. difficile
2. Staphylococcus
3. Cl. welchii
4. Cl botulinum

Correct answer: 1. Cl. difficile